Injury to popliteal artery in fracture lower end of femur can be caused by ?
1. Proximal fragment
2. Muscle haematoma
3. Distal fragment
4. Tissue swelling

Correct answer: 3. Distal fragment

Explanation: Ans. is 'c' i.e., Distal fragment In distal third shaft fracture or supracondylar femur fracture, the distal fragment is tilted backward due to strong gastrocnemius pull. This posteriorly tilted distal fragment can cause popliteal artery injury.